In a UK study, it was found that there were more deaths from Asthma than the sale of Anti-asthma drugs. This is an example of
1. Cohort study
2. Case reference study
3. Ecological study
4. Experimental study

Correct answer: 3. Ecological study